Duodenal blow out following Billroth gastrectomy most commonly occurs on which day:
1. 2nd day
2. 4th day
3. 6th day
4. 12th day

Correct answer: 2. 4th day

Explanation: Ans. (b)4th dayRef: Shackelford 7th Edition, Page 930, 944* Most common on 4th to 7th postoperative day.* No need to do surgery immediately. Only USG-guided drainage is enough. Most of them settle by maximum 1 month.